Loosening of association is an example of which of the following thought pathology?
1. Perseveration
2. Concrete thinking
3. Formal thought disorder
4. Schneiderian first rank symptoms

Correct answer: 3. Formal thought disorder

Explanation: Loosening of associations is an example of formal thought disorder, which is a disturbance in the form of thought rather than content of thought. It is a characteristic feature of schizophrenia.Loosening of association refers to lack of connection between the ideas expressed by the patient. The links between ideas may be illogical or they wander from the original theme. In its extreme form, loosening of association leads to totally incoherent thought and speech (word salad).Ref: Psychiatry By John Geddes, 4th edition page 248; Kaplan & Sadock's Comprehensive Textbook of Psychiatry, 9th edition page 924; Psychopathology: History, Diagnosis, and Empirical Foundations By W. Edward Craighead, 2nd edition page 406.